Unilateral renal agenesis is associated with -
1. Polycystic disease of pancreas
2. Hiatus Hernia
3. Single umbilical artery
4. Hypogonadism

Correct answer: 3. Single umbilical artery